Lewy bodies contain?
1. α synuclein
2. γ synuclein
3. Aβ amyloid
4. Catecholamines

Correct answer: 1. α synuclein

Explanation: Lews bodies are seen in parkinson disease.They certain α synuclein.